Not true about Alma-Ata declaration ?
1. Was held in 1978
2. Community participation
3. Health for all
4. Best approach for health for all is basic health care

Correct answer: 4. Best approach for health for all is basic health care

Explanation: Ans. is 'd' i.e., Best approach for health for al is basic health care The Declaration of Alma-Ata (1978) by emphasizing the need for "individual and community participation" gave a new meaning and direction to the practice of health education. In 1978, the Alma-Ata International conference on Primary Health Care reaffirmed Health for All as the major social goal fort governments, and stated that the best approach to achieve the goal of HFA is by providing primary health care, especially to the vast majority of underserved rural people and urban poor. It was envisaged that by the year 2000, at least essential health care should be accessible to all individuals and families in an acceptable and affordable way, with their full participation. The Alma-Ata Conference called on all governments to formulate national policies, strategies and plans of action to launch and sustain primary health care as part of a national health system. It is left to each country to develop its norms and indicators for providing primary health care according to its own circumstances.